Dakin’s Solution is
1. 0.5% NaOCl
2. 1% NaOCl
3. 1.5% NaOCl
4. None of the above

Correct answer: 1. 0.5% NaOCl